All are included in triple therapy for peptic ulcer EXCEPT:
1. Clarithyromycin
2. Amoxycillin
3. Ciprofloxacin
4. Proton pump inhibitor

Correct answer: 3. Ciprofloxacin

Explanation: Ans. C i.e. Ciprofloxacin H. pylori Its eradication drastically reduces ulcer recurrence in patients with duodenal or gastric ulcers. 7-day triple therapies with a proton pump inhibitor (PPI) + two antibiotics given BID are currently recommended first-line for H. pylori eradication e.g. lansoprazole (or alternate PPI) + clarithromycin + either metronidazole or amoxicillin A dose of clarithromycin 250mg p.o. BID is preferred when using in combination with a PPI and metronidazole; however, the 500mg p.o. BID dose is recommended in combination with a PPI + amoxicillin. Maintenance acid suppression therapy is not necessary following H. pylori eradication except in high-risk patients (e.g. severe GI bleed; refractory ulcer disease). Ranitidine Bismuth Citrate or RBC is a new agent useful in H. pylori eradication regimens.